Hemangioma of the rectum
1. Common tumor
2. Fatal hemorrhage not seen
3. Ulcerative colitis like symptoms seen
4. None

Correct answer: 3. Ulcerative colitis like symptoms seen

Explanation: Hemangioma of Rectum: Hemangioma of the rectum is an uncommon cause of serious hemorrhage When localized in the lower part of the rectum or anal canal, a hemnagioma can be excised When the lesion is diffuse, or lying in the upper part of the rectum, the symptoms simulate ulcerative colitis Diagnosis is often missed for a long period, or it is mistakenly thought to be carcinoma Selective angiography and embolization may be helpful, but excision of the rectum is sometimes required Ref: Bailey 27th edition Pgno: 1327